Wernicke's encephalopathy features are all except
1. Confusion
2. Ataxia
3. Aphasia
4. Nystagmus

Correct answer: 3. Aphasia

Explanation: Wernicke's encephalopathy is an acute reaction to a severe deficiency of thiamine, the commonest cause being chronic alcohol use. Important clinical signs: Ocular signs- coarse nystagmus and ophthalmoplegia with bilateral external rectus paralysis occurring early. Higher mental function disturbances-disorientation, confusion, recent memory disturbances, poor attention span and distractibility are quite common. Other early symptoms are apathy and ataxia (Ref: a short textbook of psychiatry, Niraj Ahuja, 7th edition, pg no.38)